True about inertization is
1. 65% pharmaceutical waste + 15% lime + 15% cement + 5% water
2. 85% pharmaceutical waste + 15% cement
3. 75% pharmaceutical waste + 15% cement + 10% water
4. 70% pharmaceutical waste + 20% cement + 10% lime

Correct answer: 1. 65% pharmaceutical waste + 15% lime + 15% cement + 5% water

Explanation: InertizationThe process involves mixing waste with cement and other substances before disposal, in order to minimize the risk of toxic substances contained in the wastes migrating into the surface water or groundwater.A typical proportion of the mixture is 65% pharmaceutical waste, 15% lime, 15% cement, and 5% water.